Weight of an infant doubles by what age?
1. 6 months
2. 1 year
3. 2 years
4. 3 years

Correct answer: 1. 6 months

Explanation: Ans. is 'a' i.e., 6 months *Weight of an infant doubles by 5 months and quadruples by 2 years of age.AgeWeightBirth3kg5 months6kg (2 x birth weight)1 years9kg (3 x birth weight)2 years12kg (4 x birth weight)3 years15kg (5 x birth weight)5 years18kg (6 x birth weight)7 years21kg (7 x birth weight)10 years30kg (10 x birth weight)